Best method to sterilize absorbent points is:
1. Autoclaving
2. Chemical sterilizer
3. Glass bead /salt sterilizer
4. Passing in ethanol flame

Correct answer: 3. Glass bead /salt sterilizer